Which of the following nerve pass through foramen rotundum?
1. Maxillary nerve
2. Mandibular nerve
3. Optic nerve
4. Lacrimal and frontal nerves

Correct answer: 1. Maxillary nerve

Explanation: Maxillary nerve: It leaves the cavernous sinus by passing through the foramen rotundum on its way to the pterygopalatine fossa.Ref: Chaurasia 5th edition (head and neck) pg: 102